An adult patient presents with normal or enlarged kidneys with massive proteinuria. Most likely cause is -
1. Chronic pyelonephritis
2. Chronic glomerulonephritis
3. Amyloidosis
4. Renal artery stenosis

Correct answer: 3. Amyloidosis

Explanation: Answer- C. AmyloidosisAmyloidosis causes :-Enlarged kidneyMassive proteinuria (nephrotic range proteinuria)